Side effect of cisplatin include all the following except
1. Nausea and vomiting
2. Nephrotoxicity
3. Blindness
4. Ototoxicity

Correct answer: 3. Blindness

Explanation: Cisplatin is the most emetic and nephrotoxic anti cancer drug Ref-KDT 6/e p827,828